Substance which is not absorbed in the loop of Henle:
1. K+
2. Urea
3. CI?
4. Na+

Correct answer: 2. Urea

Explanation: Ans. B: Urea The descending part of the thin segment of the loop of Henle is highly permeable to water and moderately permeable to most solutes and little or no active reabsorption. The thick ascending limb of the loop of Henle reabsorbs about 25% of the filtered loads of sodium, chloride and potassium as well as large amount of calcium, bicarbonate and magnesium. It also secretes hydrogen ions into the tubular lumen